Colour of O2 cylinder
1. Gray
2. Orange
3. Blue
4. Black & White

Correct answer: 4. Black & White

Explanation: D i.e. Black & White